Bankarts lesion occurs in patients with -
1. Anterior shoulder dislocation
2. Posterior shoulder dislocation
3. Posterior elbow dislocation
4. Posterior hip dislocation

Correct answer: 1. Anterior shoulder dislocation

Explanation: Ans. is 'a' i.e., Anterior shoulder dislocation Bankart's lesion* When the labrum of the shoulder joint is torn, the stability of the shoulder joint is compromized.* A Specific type of labral tear is called a Bankart's lesion.* A Bankart's lesion occurs when an individual sustains an anterior dislocation. As the shoulder pops out of the joint, it often causes tear of the labrum and stripping of periosteum from anterior surface (more specifically antero- inferior) of glenoid.* In severe injuries, there may be avulsion of piece of bone from anteroinferior glenoid rim, called bony Bankart lesion.